The risk of thromboembolism increases in pregnancy because
1. Viscosity of blood increases
2. Increased hepatic production of clotting factor
3. Increased antithrombin III levels
4. Increased progesterone levels

Correct answer: 2. Increased hepatic production of clotting factor